In cleft lip operation all the stitches are removed on -
1. 2nd day
2. 4th day
3. 10th day
4. 14th day

Correct answer: 2. 4th day

Explanation: Stitches are removed on 5 post -op day